TRUE/FALSE regarding blood supply of facial nerve is/are: 1. Ascending Pharyngeal artery 2. Greater palatine artery 3. Middle meningeal artery 4. Labyrinthine branch of ethmoidal artery 5. Stylomastoid branch of occipital artery
1. 1,2,3 true & 4,5 false
2. 1, 2 false & 3,4,5 true
3. 2,4 false & 1,3,5 true
4. All true

Correct answer: 3. 2,4 false & 1,3,5 true

Explanation: Blood supply of facial nerve: Arterial supply: In Canal: 1. Superficial petrosal (branch of middle meningeal artery) 2. Stylomastoid (branch of posterior auricular or occipital artery) Extracranially: 1. Stylomastoid (branch of posterior auricular or occipital artery) 2. Superficial temporal, transverse facial and tympanic (branch of ascending pharyngeal artery) Venous drainage: 1. Venae comitantes of superficial petrosal and stylomastoid arteries Ref: Gray's anatomy, 38th/1244